The Brudevold’s solution was introduced in-
1. 1960
2. 1950
3. 1970
4. 1980

Correct answer: 1. 1960

Explanation: Acidulated phosphate fluoride was introduced in the 1960's by Brudevold and his co-workers at the Forsyth Dental Center, Boston, Massachusetts.